During the Repolarisation phase of Action Potential of a Neuron, which among the following takes place?
1. Increased permeability to K+- ion
2. Decreased permeability to K+ ion
3. Increased permeability to Ca2+ ion
4. Increased permeability to Na+ ion

Correct answer: 1. Increased permeability to K+- ion

Explanation: ANSWER: (A) Increased Permeability to K+ ionREF: See previous question for explanation